Change in length of upper anterior teeth in complete denture teeth setting, which sounds are affected:
1. f, v
2. d, t
3. Dentoalveolar sounds
4. b, p, m

Correct answer: 1. f, v